A tumor has the following characteristics - retrobulbar location within the muscle cone, well defined capsule, presents with slowly progressive proptosis, easily resectable, occurs most commonly in the 2nd to 4th decade. Most likely diagnosis is -
1. Capillary hemangioma
2. Cavernous hemangioma
3. Lymhangioma
4. Hemangiopericytoma

Correct answer: 2. Cavernous hemangioma

Explanation: Ans. (b) Cavernuos hemangiomaRef: Kanski's 7/e, p. 105* Cavernous hemangioma is the most common benign, intraconal tumour in adults.* Presents with slowly progressive unilateral proptosis* CT - well circumscribed oval lesion, encapsulated